Lymphoreticular system doesnot includes -
1. T-cells
2. B-cells
3. Platelets
4. Macropahges

Correct answer: 3. Platelets

Explanation: Lymphoreticular system include lymphoid & reticular components, with clearly demarcated function. The lymphoid cells lymphocytes & plasma cells are primarly concerned with specific immune response. The phagocytic cells, forming part of the reticuloendothelial system are primarly concerned with the scavenger functions Reff: Ananthanarayanan & Paniker's textbook of microbiology 9th edition pg: 128